Which of the following is not a part of management in grade III dog bite infected with rabies?
1. Vaccination
2. Stitch the wound with antibiotic coverage
3. Wash with soap and water.
4. Administration of anti-rabies serum and vaccination.

Correct answer: 2. Stitch the wound with antibiotic coverage

Explanation: 1. Wound should never be stitched immediately to prevent additional trauma that may help in spread of the virus in the deeper tissue. 2. "If suturing is necessary, then it has to be done after 24-48 hrs later, applying minimum stitches under the coverage of anti rabies serum locally"- Park. 3. Cleansing - wound should be scrubbed well immediately with soap & water - soap kills the virus effectively. 4. Chemical treatment- wound is treated with quaternary ammonium compounds (like cetavlon or tincture iodine) 5. Category III (Major risk): Type of exposure- Single or multiple transdermal bites with oozing of blood, Licks on broken skin (fresh wounds) or mucous membrane, Bite by wild animals /bat. Recommended prophylaxis (WHO)- Wound management, Rabies immunoglobulin, Rabies vaccine, Observe the dog for 10 days.